The benign neoplasm of 'brown fat' noted in oral/ pharyngeal region is:
1. Lipoma
2. Hibernoma
3. Teratoma
4. Brown tumor

Correct answer: 2. Hibernoma